False regarding gout is :
1. Due to increased metabolism of pyrimidines
2. Due to increased metabolism of purines
3. Uric acid levels may not be elevated
4. Has a predilection for the great toe

Correct answer: 1. Due to increased metabolism of pyrimidines

Explanation: A i.e. Due to increased metabolism of pyrimidines